Absence of myenteric ganglion is seen in -
1. Crohn's disease
2. Ulcerative colitis
3. Hirschprung's disease
4. Intussusception

Correct answer: 3. Hirschprung's disease